Niclosemide is not effective for treatment of ?
1. T. Saginata
2. T. Solium
3. D. Latum
4. Echinococcus granulosum

Correct answer: 4. Echinococcus granulosum

Explanation: Ans. is 'd' i.e., Echinococcus granulosus Niclosamide o Niclosamide is a highly effective drug against Cestodes -Taenia sag nata, T. solium, Diphyllobothrium latum and H. nana, as well as thread worm. o It acts by inhibiting oxidative phosphorylation in mitochondria and interfering with anaerobic generation of ATP. o It is safe during pregnancy.